Ascending paralysis is seen in:-
1. Botulism
2. Hemlock poisoning
3. Zigadenus poisoning
4. Cobra bite

Correct answer: 2. Hemlock poisoning

Explanation: Conium Maculatum (Hemlock) * This plant is also known as spotted hemlock, because of the purple spots on its stem. * All parts of the plant are poisonous. * The whole plant has a mousy odor which is intensified by crushing the leaves or stems * Active principles: Coniine, methyl coniine and six other alkaloids. * Action: It causes paralysis of the motor nerve terminals in the muscles, gradually spreading to the motor cells of the spinal cord and the brain. * This is followed by progressive muscular paralysis due to depression of the motor nerves. The lower limbs are affected first and the paralysis ascends till the muscles of respiration are affected.